Transitional cell carcinoma bladder caused by-
1. Schistosomiasis
2. Ascariasis
3. Malaria
4. None

Correct answer: 1. Schistosomiasis

Explanation: Ans. is 'a' i.e., Schistosomiasis Risk factors for transitional ceil carcinoma (TCC) of bladder -Smoking - Major etiological factor.Occupational exposure to chemicals - Nephthylamine benzidine, aniline dyes, acrolein.Schistosoma haematobium (Bilharziasis) - It is a risk factor for both TCC & SCC.Drugs - PhenacetinCyclophosphamide therapyPelvic irradiations